Outcome indicator for ASHA ?
1. IMR
2. TB/leprosy cases detected
3. Child malnutrition rate
4. % of institutional deliveries

Correct answer: 4. % of institutional deliveries

Explanation: Ans. is 'd' i.e., % of institutional deliveries